The most successful treatment for a vital primary second
molar with a large carious and pulpal exposure is
1. Indirect pulp treatment
2. Pulpotomy with formocresol
3. Pulpotomy with calcium hydroxide
4. Pulp capping with calcium hydroxide

Correct answer: 2. Pulpotomy with formocresol